Lipoprotein lipase is activated by:
1. Apo C1
2. Apo C2
3. Apo C3
4. Apo A1

Correct answer: 2. Apo C2

Explanation: lipoprotein lipase (LPL) - LPL is an extracellular enzyme that is anchored by heparan sulfate to the capillary walls of most tissues, but predominantly those of adipose tissue and cardiac and skeletal muscles. It plays some role in TAG degradation in chylomicrons and VLDL and is particularly important in HDL metabolism Its activate mainly by apo C II and sometime apo C I and inactivate by apo C III & apo A II Deficiency of LPL is lead to type I hyperlipoproteinemia also known as familial LPL deficiency